Most damaging feature of Class III malocclusion is
1. Retroclined upper anterior teeth
2. Crowding of lower incisors
3. Deviated path of closure
4. Reduced over bite

Correct answer: 3. Deviated path of closure